ST depression and T wave inversion in V1 to V6 and aVL leads indicate
1. Anterolateral wall AMI
2. Posterior wall AMI
3. Inferior AMI
4. Lateral wall AMI

Correct answer: 1. Anterolateral wall AMI

Explanation: Acute transmural anterolateral wall ischemia is associated with changes in one or more of the precordial leads ( V1 through V6 ) and in leads I and aVLLocalizationChange in leads (ST elevation or hyperacute T)Anteroseptal or apical MI V1-V3Lateral or apical MI V4-V6Inferior wall MI II, III, aVFRef: Harrison's 18/e p1836-1837